Presence of spiral grooves in the barrel of weapon is referred to as
1. Rifling
2. Incendiary
3. Cocking
4. None of the above

Correct answer: 1. Rifling

Explanation: RIFLED GUN RIFLING: Interior of bore has spiral grooves which run parallel to each other, but twisted spirally from breech to muzzle end. These grooves are called 'rifling' Imparts Spinning motion to the bullet Greater power of penetration Straight trajectory Increases accuracy & range Paradox gun: A smooth bore gun with small terminal part rifled.